Most common complication of condylar injuries in
children
1. Pain
2. Ankylosis
3. Osteoarthritis
4. Fracture of glenoid fossa

Correct answer: 2. Ankylosis